Urethral closure involves interplay of following structures except
1. Suburethral vaginal hammock
2. Pubourethral Ligaments
3. Pubococcygeus muscle
4. Puborectalis muscle.

Correct answer: 4. Puborectalis muscle.

Explanation: 3 Structures aiding in urethral closure

Pubourethral Ligament
Suburethral vaginal hammock
Pubococcygeus muscle.